Keshan disease is due to deficiency of
1. Selenium
2. Chromium
3. Copper
4. Manganese

Correct answer: 1. Selenium

Explanation: (A) Selenium # Keshan disease is an endemic cardiomyopathy found in children and young women residing in regions of China where dietary intake of selenium is low (<20 pg/dl).Concomitant deficiencies of iodine and selenium may worsen the clinicalnr attestations of cretinism.> Keshan disease: is a congestive cardiomyopathy caused by a combination of dietary deficiency of selenium and the presence of a mutated strain of Coxsackievirus, named after Keshan County of Heilongjiang province, Northeast China, where symptoms were first noted.> Often fatal, the disease afflicts children and women of child bearing age, characterized by Heart failure and Pulmonary edema.> Over decades, Supplementation with selenium reduced this affliction.> It has previously been linked to the coxsackie B virus.> Current research suggests that the lack of selenium results in a more virulent strain of the coxsackievirus becoming the dominant viral species present in the population of virus, but the mechanism of this selection event is presently unclear